The operation where in the stump of the stomach is directly anastomosed to the stump of the duodenum is called -
1. Polya gastrectomy
2. Hoffmeister gastrectomy
3. Billroth I gastrectomy
4. Billroth II gastrectomy

Correct answer: 3. Billroth I gastrectomy